Which is associated with shotgun along :
1. Gun powder
2. Primer
3. Projectile
4. Wads

Correct answer: 4. Wads

Explanation: D i.e. Wads